All of the following are true about skeletal muscle except?
1. They are cylindrical in shape
2. Have multiple nuclei
3. Have transverse striations
4. The nuclei are central

Correct answer: 4. The nuclei are central